A child has Adenoidectomy done but he has effusion in middle ear. What is done next -
1. Grommet insertion
2. Mastoidectomy
3. Tympanoplasty
4. None

Correct answer: 1. Grommet insertion